Medical education which includes 3 months' training in preventive and social medicine was introduced by -
1. Bhore committee
2. Kartar Singh
3. Shrivastav committee
4. Chadah committee

Correct answer: 1. Bhore committee

Explanation: Ans. is 'a' i.e., Bhore committee